Which of the following drugs can cause galactorrhea
1. Bromocriptine
2. Pantoprazole
3. Metoclopramide
4. Omeprazole

Correct answer: 3. Metoclopramide

Explanation: Ref: KDT, 6th ed. pg. 643* Galactorrhea is caused by increased level of prolactin.* Normally, this prolactin is in inhibited state by Dopamine.* Prolactin is under predominant inhibitory control of hypothalamus through PRIH (Prolactin Release Inhibitory Hormone), which is Dopamine that acts on pituitary lactotrope D2 receptor.* Dopaminergic agonist like bromocriptine, DA and cabergoline decrease plasma prolactin levels and is used to treat hyperprolactinemia.* Dopaminergic antagonists like chlorpromazine, haloperidol, metoclopramide causes hyperprolactinemia by blocking D2 receptors.